In acute starvation, the feeling of intense hunger lasts-
1. 12-24 hours
2. 24-36 hours
3. 36-48 hours
4. 48-60 hours

Correct answer: 3. 36-48 hours

Explanation: Starvation is the result of actual deprivation of food or administration of unsuitable food. Starvation may be:-


Acute (complete): Sudden and complete storage of food.
Chronic (partial): Gradual deficient supply of food.


An acute starvation, the reserve carbohydrates, then fat and last the proteins are used up.
Feeling of hunger with hunger pain lasts for 30-48 hours.
After 4-5 days, there is emaciation, absorption fat and loss of weight (7-8 kg in 10 days)